Peliosis hepatis is caused by all except?
1. Analgesics
2. Anabolic steroids
3. OC pills
4. Danazol

Correct answer: 1. Analgesics

Explanation: Ans. is 'a' i.e., Analgesicso Peliosis hepatitis is a rare condition in which there is primarily sinusoidal dilatation.o The liver contains blood filled cystic spaces, either unlined or lined with sinusoidal endothelial cells.o Peliosis hepatitis is associated with many diseases including cancer, TB, AIDS or post transplantation immunodeficiency. It is also associated with exposure to anabolic steroids and rarely, oral contraceptives and danazol.